Generalized necrotising lymphadenopathy is-
1. Kimura disease
2. Kukuchi disease
3. Non--Hodgkin's lymphoma
4. Castleman's disease

Correct answer: 2. Kukuchi disease

Explanation: Kikuchi-Fujimoto disease (KFD), or histiocytic necrotizing lymphadenitis, is a benign and self-limited disease that mainly affects young women. Patients present with localized lymphadenopathy, fever, and leukopenia in up to half of the cases.